Main enzyme involved in digestion of fatty food?
1. Lingual lipase
2. Gastric lipase
3. Pancreatic lipase
4. Phospholipase

Correct answer: 3. Pancreatic lipase

Explanation: Ans. is 'c' i.e., Pancreatic lipaseEbner's glands on the dorsum of the tongue secrete lingual lipase and the stomach also secretes a lipase (gastric lipase).However, they are of very little significance in fat digestion.Fat digestion essentially begins in the duodenum with entry of pancreatic and biliary secretions. o Pancreatic juice contains lipase (pancreatic lipase), the most important enzyme for fat digestion.The pancreatic lipase digests triglycerides (triacylglycerols) into free fatty acids and 2-monoglycerides (2? m on ocylg lycerols).Pancreatic lipase hydrolyzes 1-and 3-bonds of triglycerides with relative sparing of 2-bonds, so the principal products of its action are free fatty acids and 2-monoglycerides.